In myasthenia gravis, the antibodies are formed against?
1. Muscarinic receptor proteins
2. Acetylcholine receptors
3. Actin
4. Myosin

Correct answer: 2. Acetylcholine receptors

Explanation: Ans. is 'b' i.e., Acetylcholine receptor Myasthenia gravis* It is a muscle disease caused by immune-mediated loss of acetylcholine receptors at neuromuscular (myoneural) junction, i.e. Nm type of nicotinic receptors.* The antibodies in myasthenia gravis attack the nicotinic acetylcholine receptor, or a related protein called MusK a muscle-specific kinase.* When arising before age 40 years, it is most commonly seen in women, but there is equal occurrence between the sexes in older patients. Thymic hyperplasia is found in 65% and thymoma in 15% of patients.* Analysis of neuromuscular transmission in myasthenia gravis shows a decrease in the number of muscle acetylcholine receptors (AChRs), and circulating antibodies to the AChR are present in nearly all patients with myasthenia gravis.* Patients show improvement in strength in response to administration of anticholinesterase agents. This remains a most useful test on clinical examination.